Nanovalent vaccine offers protection against which type of HPV viruses?
1. 6, 8, 10, 11,31,33, 45, 52, 58
2. 6, 11, 16, 18,31,33, 45, 52, 58
3. 6, 11, 16, 18, 31, 35, 45, 52, 58
4. 6, 11, 16, 18,31,32, 33, 34

Correct answer: 2. 6, 11, 16, 18,31,33, 45, 52, 58

Explanation: ANS. BHPV vaccine:* Cervarix: Bivalent--16 and 18* Gardasil: Quadrivalent: 6, 11, 16 and 18* Nanovalent vaccine: 6, 11, 16, 18, 31, 33, 45, 52, 58* 3 doses: 0, 2, and 6 months* 0.5 mL given IM.Images in Pap smearThree types of cells in Pap smear:1. Superficial: Red cells--estrogen dependent2. Intermediate: Greenish-blue--progesterone dependent3. Parabasal: Blue--does not respond to estrogen/progesteroneImportant points in Pap smear:1. In menopause, there is excess parabasal cells.2. Basal cells never occur in Pap smear, if present it indicates erosion.